Satellite Lesion are seen in:
1. Tuberculoid Leprosy
2. Lepromatous Leprosy
3. Borderline Tuberculoid Leprosy
4. Histoid Leprosy

Correct answer: 3. Borderline Tuberculoid Leprosy

Explanation: C i.e. Borderline tuberculoid leprosy